All of the following can cause a white pupillary reflex except:
1. Retinoblastoma
2. Cataract
3. Retrolental fibroplasias
4. Glaucoma

Correct answer: 4. Glaucoma

Explanation: D i.e. Glaucoma